X-rays were discovered by:
1. Madam Curie
2. Henry Becquerel
3. William Roentgen
4. Chadwick

Correct answer: 3. William Roentgen

Explanation: Ans: c (William Roentgen)X-rays were discovered by RoentgenHistorical aspect: Discovery of:J.J Thompson-ElectronsW.K Roentgen-X-rays in 1895Henry Bequeral-Radioactivity in 1896Madam Marie curie-Radioactive substance radium, uraniumRutherford-NucleusChadwick-NeutronMaxwell-Electromagnetic waves